Following statements are true in diastolic dysfuction of the left ventricles EXCEPT-
1. It presents as dyspnea on exertion
2. Tachycardia will improve the symptoms
3. Uncontrolled hypertension is an important cause
4. Ischemic heart disease

Correct answer: 2. Tachycardia will improve the symptoms

Explanation: clinical cardiology the term "diastolic function" is most commonly referred as how the heart fills. The energy that drives the suction process is generated from phase of systole. During systole, to overcome the peripheral arterial load at ejection, ventricle contracts, which also compresses elastic tissues internal to and external to the myocardium. Then, when cardiac muscle relaxes, the energy captured by compressed elements releases, driving the recoil of ventricular wall until a new balanced equilibrium state is reached. During diastole, the ventricle of heart must remain elastic or compliant enough and have capacity to hold incoming blood to guarantee effectiveness of the filling phase. Hence stiffness and relaxation are ventricle's intrinsic feature parameters that are practical in evaluating and quantifying diastolic function.In addition, volumetric load serves as an extrinsic indicating parameter that modulates diastolic function. Ref Davidson 23rd edition pg 453